ABVD regimen is used for
1. CLL
2. ALL
3. NHL
4. Hodgkins lymphoma

Correct answer: 4. Hodgkins lymphoma

Explanation: ABVD regimen(doxorubicin,bleomycin,vinbladtine and dacarbazine) is used. Standard therapy for early stage patients without additional risk factors such asbulk disease or high ESR,is two cycles of ABVD combined with 20Gy radiotherapy to the involved area Standard therapy for early stage patients with additional risk factors is four cycles of ABVD combined with 30 Gy radiotherapy Reference-Davidson 23 rd edition